Not included in human development index ?
1. GNI per capita
2. Life expectancy at 1 yr
3. Years of schooling
4. Knowledge

Correct answer: 2. Life expectancy at 1 yr

Explanation: Ans. is 'b' i.e., Life expectancy at 1 year Life expectancy at birth is a dimension of HDI (not life expectancy at one year). HUMAN DEVELOPMENT INDEX (HDI) HDI is a composite index combining indicators representing three dimensions.